Difference between it Ispensary and PHC is that a PHC –
1. Gives integrated services
2. Is confined to particular area
3. Is managed by medical officer
4. Is located in rural areas

Correct answer: 1. Gives integrated services

Explanation: Primary health centers provide, as close to the people as possible, an integrated, curative and preventive health care to the rural population, with emphasis on preventive and primitive aspects of health care.
The functions of a PHC are integrated in such a way so as to provide a variety of "Essential" elements of primary health care which are not provided by a dispensary.